Enolase is inhibited by:
1. Chloride
2. Cyanide
3. Fluoride
4. All of the above

Correct answer: 3. Fluoride

Explanation: Enolase is inhibited by fluoride, and when blood samples are taken for measurement of glucose, it is collected in tubes containing fluoride to inhibit glycolysis. Ref: Harper 28th edition, chapter 17.